The most common facial abnormality in Gardener's syndrome
1. Ectodermal dysplasia
2. Odontome
3. Multiple osteomas
4. Dental cysts

Correct answer: 3. Multiple osteomas

Explanation: Ans. is 'c' i.e. Multiple osteomas Osteomas is mandible and skull are the most common facial lesions in Gardner syndrome. Gardner syndrome is a variant of FAP characterized by: - Colorectal polyposis - Epidermoid cysts - Desmoid tumors - Osteomas - Thyroid neoplasms, and - Congenital hypertrophy of the retinal pigment epithelium